Ivermectin is indicated in:
1. Scabies
2. Intestinal nematode infection
3. Filariasis
4. All of the above

Correct answer: 4. All of the above